Ooch ronsis is fou nd in -
1. Alkaptonuria
2. Tyrosinemia
3. Phenylketonuria
4. Homocystinuria

Correct answer: 1. Alkaptonuria

Explanation: Ans. is 'a' i.e., Alkaptonuria Alkaptonuriao Deficiency of homogentistic acid oxidase.o Accumulation of homogentistic acid|Destruction of connective tissue|Deposition of black pigment in the sclera ear, nose cartilase, (oochronsis).o Urine become dark on standing.